The active immunity offered by tetanus toxoid is effective in nearly -
1. 25% of the patients
2. 50% of the patients
3. 75 % of the patients
4. 100% of the patients

Correct answer: 4. 100% of the patients

Explanation: The aim of active immunisation with tetanus toxoid is to vaccinate the entire community and ensure a protective level of antitoxin approximately 0.01 IU/ml serum throughout life Reference; Park's Textbook of preventive and social medicine, 24th edition.Pg no. 330